Lymphatics of Tonsils drain into
1. Jugulodiagastric Lymph node
2. Jugulo - omohyoid Lymph node
3. Sub mandibular Lymph node
4. Submental Lymph node

Correct answer: 1. Jugulodiagastric Lymph node